Which of the following is decreased during third trimester of a normal pregnancy?
1. Heart rate
2. Stroke volume
3. Systemic vascular resistance
4. Cardiac output

Correct answer: 3. Systemic vascular resistance

Explanation: Late pregnancy was associated with the expected increases in heart rate, stroke volume, and cardiac output. Systemic vascular and pulmonary vascular resistance both decreased significantly, as did colloid osmotic pressure. Also know: During normal pregnancy, mean arterial pressure and vascular resistance decrease, while blood volume and basal metabolic rate increase. As a result, cardiac output at rest, when measured in the lateral recumbent position, increases significantly beginning in early pregnancy. Ref: Cunningham F.G., Leveno K.J., Bloom S.L., Hauth J.C., Rouse D.J., Spong C.Y. (2010). Chapter 5. Maternal Physiology. In F.G. Cunningham, K.J. Leveno, S.L. Bloom, J.C. Hauth, D.J. Rouse, C.Y. Spong (Eds), Williams Obstetrics, 23e.